Putrefaction is retarded by:
1. Lead
2. Mercury
3. Arsenic
4. Copper

Correct answer: 3. Arsenic

Explanation: Arsenic